Modified ZN Stain is used under which of the following?
1. RNTCP
2. NVBDCP
3. NLEP
4. IMNCI

Correct answer: 3. NLEP

Explanation: Modified ZN staining is used for staining Mycobacterium leprae or the leprosy bacilli under National Leprosy Eradication Programme (NLEP). ZN Stain is used in staining Mycobacterium tuberculosis under RNTCP. Ref: Park 21st edition, page 293. Chapter: Health programmes in India.